Triad of Erythema, desquamation & exfoliation of skin is seen in:-
1. Boric acid poisoning
2. Sulphuric acid poisoning
3. Phosphorus exposure
4. Carbolic acid poisoning

Correct answer: 1. Boric acid poisoning

Explanation: Boric acid (Hydrogen borate/Orthoboric acid) Weak acid, used as an antiseptic, insecticide (especially for cockroaches), flame retardant, as a neutron absorber. GIT: Nausea, vomiting, diarrhea and occasionally crampy abdominal pain-confused with acute gastroenteritis. Dermal: generalized erythema creating a 'boiled lobster' appearance with massive areas of desquamation & exfoliation of skin Rash is particularly seen on the palms, soles and buttocks CNS: Irritability, seizures, delirium and coma. Renal: Oliguria, renal tubular damage and elevated serum creatinine. CVS: Tachycardia, hypotension. Death results from circulatory collapse. Medico-legal: Because of wide availability, accidental intake by children occurs frequently. It may be taken by mistake and suicidal purposes.